Seabrooks operation is done for
1. Parotid gland
2. Thyroglossal fistula
3. Thyroglossal cyst
4. Branchial fistula

Correct answer: 1. Parotid gland

Explanation: Parotid Fistula Internal fistula opens inside the mouth and doesn't give rise to symptoms External fistula : Gland fistula or duct fistula Causes Rupture of parotid abscess Inadvertent incision during drainage of parotid abscess Penetrating injury After superficial parotidectomy Clinical presentation When the external fistula is connected to the gland, external opening is pinpoint, though discharge is present for several months, usually closes spontaneously When external fistula is connected with major duct, there is outpouring of parotid secretions onto cheek during meals with excoriation of surrounding skin Diagnosis Sialography or sialogram Treatment Newman and Seabrock's operation (in case of fistula connected with main duct, this operation reconstructs the duct) Ref: Bailey and love 27th edition Pgno : 778